A highly ionized drug
1. Is excreted mainly by kidney
2. Can carry placental barrier easily
3. Is well absorbed from intestine
4. Accumulates in cellular lipids

Correct answer: 1. Is excreted mainly by kidney

Explanation: Ionized molecules cannot cross the biological membranes .therfore they are less likely to be absorbed . Entry of the molecules through blood brain barrier and blood placental barrier is also restricted .these drugs cannot be reabsorbed in the nephron,thus are excreted by the kidney . Refer kDT 7/e p29